GTT post 1 hour sugar for gestational diabetes is >mg %
1. 140
2. 150
3. 180
4. 200

Correct answer: 3. 180

Explanation: Ans. is 'c' i.e., 180mg%